Pathology of Alzeheimer's disease is:
1. Deficiency of cholinergic action
2. Excess action of dopamine
3. Accumulation of beta-amyloid protein
4. None of the above

Correct answer: 3. Accumulation of beta-amyloid protein

Explanation: Ans. C: Accumulation of beta-amyloid protein Alzheimer's disease (AD) is a slowly progressive disease of the brain that is characterized by impairment of memory and eventually by disturbances in reasoning, planning, language, and perception. Many scientists believe that Alzheimer's disease results from an increase in the production or accumulation of a specific protein (beta-amyloid protein) in the brain that leads to nerve cell death.